Lateral zones of the hard palate are covered by:
1. Non Keratinized epithelium submucosal layer and minor salivary gland
2. Non Keratinized epithelium, absent submucosal layer and minor salivary gland
3. Keratinized epithelium, submucosal layer and minor salivary gland
4. Keratinized epithelium, absent submucosal layer and minor salivary gland

Correct answer: 3. Keratinized epithelium, submucosal layer and minor salivary gland

Explanation: Lateral zones of the hard palate (oral aspect) are covered by stratified squamous epithelium (keratinized and parakeratinized) and have an underlying submucosa. The submucosa in the anterior part (of the lateral zones) contains adipose tissue while that in the posteriro part (of the lateral zones) contains numerous minor glands. Histological features of Hard Palate: Oral surface Nasal Surface Lined by Masticatory Mucosa Lined by Respiratory Epithelium Lateral Zone Medial Zone Stratified squamous epithelium (Keratinized nad para-keratinized) Have an underlying submucosa The submucosa in the anterior part contains adipose tissue The submucosa in the posterior part contains minor salivary glands Stratified squamous epithelium (Keratinized and para-keratinized) Donot have an underlying submucosa (Submucosa is absent) The oral mucosa in the medial zone is directly attached to the periosteum of the underlying bones of the palate and constitute the Mucoperitoneum. A mucoperitoneum is a structure consisting of a mucous membrane combined with thw periosteum of the adjacent bone without the usual intervening submucosa. Because there is no submucosa present local anaesthetic injections placed in the medial zone of the hard palate Ref: Histology A Text and Atlas 6th edition Pgno: 527